A 42-year-old obese woman (BMI =32 kg/m2) presents with severe abdominal pain that radiates to the back. There is no history of alcohol or drug abuse. The blood pressure is 90/45 mm Hg, respirations are 32 per minute, and pulse is 100 per minute. Physical examination shows abdominal tenderness, guarding, and rigidity An X-ray film of the chest shows a left pleural effusion. Laboratory studies reveal elevated serum amylase (850 U/L) and lipase (675 U/L), and hypocalcemia (7.8 mg/dL). Which of the following is the most likely diagnosis?
1. Acute cholecystitis
2. Acute pancreatitis
3. Alcoholic hepatitis
4. Chronic calcifying pancreatitis

Correct answer: 2. Acute pancreatitis

Explanation: Acute pancreatitis is defined as an inflammatory condition of the exocrine pancreas that results from injury to acinar cells. The disease presents with a spectrum of signs and symptoms. Severe forms are characterized by the sudden onset of abdominal pain, often accompanied by signs of shock (hypotension, tachypnea, and tachycardia). The release of amylase and lipase from the injured pancreas into the serum provides a sensitive marker for monitoring injury to acinar cells. Left pleural effusion is a common finding in patients with acute pancreatitis due to local irritation below the diaphragm. The other choices do not feature increases in serum amylase and lipase.Diagnosis: Pancreatitis, acute